What accumulates in tissues in hemochromatosis?
1. Iron
2. Copper
3. Ceruloplasmin
4. Lipofuschhin

Correct answer: 1. Iron

Explanation: Ans. is 'a' i.e., Iron Hemochromatosis is characterized by the excessive accumulation of body iron, most of which is deposited in parenchymal organs such as liver and pancreas. Hemochromatosis is a disorder of iron metabolism. Characterized by a triad of :- Micronodular cirrhosis Diabetes mellitus Skin pigmentation Organ not showing iron deposition in hemochromatosis Testis